Most common site of development of carcinoma of prostate is
1. Central zone
2. Transitional zone
3. Peripheral zone
4. B + C

Correct answer: 3. Peripheral zone

Explanation: For BPH - transitional zone is most commonly involved
For carcinomma - peripheral zone is most commonly involved.